Fracture shaft of humerus can cause damage to which of the following nerves?
1. Median nerve
2. Ulnar nerve
3. Axillary nerve
4. Radial nerve

Correct answer: 4. Radial nerve

Explanation: Radial nerve palsy associated with humeral shaft fractures is the most common nerve lesion complicating fractures of long bones. Radial nerve injury is commonly associated with: Fracture shaft of humerus Saturday night palsy Injection palsy